The nerve fiber type that is most susceptible to hypoxia:
1. Aa
2. Ab
3. B
4. C

Correct answer: 3. B

Explanation: Fibers most susceptible to pressure Aa > Ab > Ag > Ad > B > C Fibers most susceptible to hypoxia-related injury B > A > C Fibers most susceptible to action of local anaesthetics Ag, Ad > Aa,Ab >B > C